Wound contraction is mediated by
1. Epithelial cells
2. Myofibroblasts
3. Collagen
4. Elastin

Correct answer: 2. Myofibroblasts

Explanation: ref, Robbins 9/e p105 The chief physiological function of myofibroblasts in mammalian tissues has been in wound healing and specifically in contraction of the wound. Typically there are four overlapping phases of wound healing: Haemostasis, inflammation, proliferation, and remodelling